Not true regarding rubella cataract:
1. Pearly white cataract
2. May harbor virus inside the lens
3. Can be associated with cardiovascular anomalies
4. Reversible

Correct answer: 4. Reversible

Explanation: Rubella cataract is not reversible. Rubella Cataract Nuclear cataract which finally leads to total opacity. A/w maternal infection contracted in 1st trimester. Virus can be cultured from lens. Ocular Complications. Nuclear cataract (pearly white). Microphthalmos. Salt and pepper retinopathy. Glaucoma. Most common ocular complication is Cataract in India and retinopathy in the world. A/w CVS & Ear defects also.